Cottel's test is used for -
1. Septal perforation
2. Rhinophyma
3. Choanal atresia
4. DNS

Correct answer: 4. DNS

Explanation: Ans. is cd' i.e., DNS o Cottle test: It is used to test nasal obstruction due to abnormality of nasal valve as in case of deviated nasal septum. o In this test, cheek is drawn laterally while the patient breathes quietly. If the nasal airway improves on the test side, the test is positive, and indicates abnormality of the vestibular component of nasal valve.